Brown atrophy is due to accumulation of -
1. Melanin
2. Hemosiderin
3. Hematin
4. Lipofuscin

Correct answer: 4. Lipofuscin

Explanation: Ans. is `d' i.e. Lipofuscin Deposition of lipofuscin in the heart is referred as brown atrophy.